Paracervical block is associated with the danger of :
1. Inhibition of labour
2. Fetal bradycardia
3. Increased loss of blood
4. Atony of uterus

Correct answer: 2. Fetal bradycardia

Explanation: Fetal bradycardia